Thyroglossal cyst is associated with which type of thyroid carcinoma?
1. Follicular
2. Papillary
3. Medullary
4. Anaplastic

Correct answer: 2. Papillary

Explanation: A remnant of a thyroglossal duct, usually a cyst (TGDC), is the most common congenital abnormality of thyroid gland development. Clinically, most thyroglossal duct cysts are benign and present as slow-growing, asymptomatic neck masses . It is a very rare condition but there is a chance of development of papillary carcinoma in the thyroglossal cyst.